Which is avoided with milk intake?
1. Chloramphenicol
2. Erythromycin
3. Sulphonamide
4. Tetracycline

Correct answer: 4. Tetracycline

Explanation: absorption of tetracyclines. will be decreased with Milk and other dairy products, antacids, iron supplements, laxatives containing magnesium It is considered one of the important drug-food interaction ref: KD Tripathi 8th ed